Which of the following is most common cause of vitreous haemorrhage in children?
1. Diabetic Retinopathy
2. Trauma
3. Eales disease
4. Coat's disease

Correct answer: 2. Trauma

Explanation: Trauma is the most common cause of vitreous hemorrhage in children. Vitreous Hemorrhage Blood in vitreous cavity Causes: Intraocular surgery Ocular tumors Trauma Vasculitis Proliferative diabetic retinoopathy Neovascularization Intravitreal injections Most Common Most common cause of vitreous hemorrhage in adults: Proliferative diabetic retinopathy. Most common cause of vitreous hemorrhage in children: Trauma.